DMPA causes all the following Except
1. Weight gain
2. Irregular cycles
3. Amenorrhoea
4. Thromboembolism

Correct answer: 4. Thromboembolism

Explanation: Depomedroxyprogesterone AcetateDMPA, a suspension of microcrystals of a synthetic progestin. The regimen of 150 mg every 3 months is highly effective, producing pregnancy rates ofabout 0.3 per 100 women per year.The most important medical reason women discontinue use of DMPA and other progestin-only methods is persistent irregular vaginal bleeding. Eventually, total amenorrhea develops in most women who take DMPA; with continued administration, amenorrhea develops in 50% of women by 1 year and in 80% by 3 years.Ref: Berek and Novak's Gynecology; 15th edition; Chapter 10